Follman's balanitis is caused by -
1. Trichomonas
2. Candida
3. H. Ducreyl
4. None

Correct answer: 4. None

Explanation: Follman's balanitis is seen in syphilis.